Which of the following statement about bradykinin is true
1. Causes pain
2. Causes bronchodilation
3. Causes vasoconstriction
4. Decreases vascular permeability

Correct answer: 1. Causes pain